Predictive value of a positive test is defined as-
1. True+ve\/true+ve+false-vex100
2. True + ve\/ true + ve + false + ve x 100
3. False + ve \/ true + ve + false + ve x 100
4. False + ve \/ true + ve + false - ve x 100

Correct answer: 2. True + ve\/ true + ve + false + ve x 100

Explanation: Ref:Parks 23rd edition pg 140 PPV = TP / (TP +FP) * 100 Predictive value reflects the diagnostic power of a test.